Most common cause of congestive splenomegaly is?
1. Chronic congestive cardiac failure
2. Cirrhosis
3. Hepatic vein occlusion
4. Stenosis of splenic vein

Correct answer: 2. Cirrhosis

Explanation: Congestive splenomegaly is common in patients with severe portal hypertension. Portal hypertension is the major complication of cirrhosis.